In which of the following conditions the only means of sexual excitement are in inanimate objects:
1. Exhibitionism
2. Fetishism
3. Voyeurism
4. Sadism

Correct answer: 2. Fetishism

Explanation: B ref: Ahuja, 4th/e p. 118 and 5th/e p. 130